Anatomical snuffbox contains -
1. Radial artery
2. Brachial artery
3. Ulnar artery
4. Interosseus artery

Correct answer: 1. Radial artery

Explanation: -        Boundaries of anatomical snuff box

   Anterior/ Lateral wall- Extensor pollicis brevis and abductor pollicis longus tendons. 
   Posterior/ medial wall- Extensor pollicis longus tendon
   Floor- Styloid process of radius, trapezium,scaphoid and base of first metacarpal.
   Roof- Skin, fascia, starting of cephalic vein, superficial branch of radial nerve.
  Content- radial artery